Lt. sided sixth nerve palsy would lead to:
1. Accommodation paresis of left side
2. Ptosis of left eye
3. Adduction weakness of left eye
4. Diplopia in left gaze

Correct answer: 4. Diplopia in left gaze

Explanation: Diplopia in left gaze Diplopia is the chief complaint of the patient with paresis of extrinsic muscle of eye. Diplopia occurs only over that part of the field of fixation towards which the affected muscle or muscles move the eye. Sixth nerve supplies solely, the Lateral rectus muscle. So its palsy would lead to diplopia in looking leftwards. Signs and symptoms of lateral rectus palsy Esotropia or convergent squint with limitation of movement outwards, - Face is turned towards the paralysed side - Homonymous diplopia on looking to the paralysed side